Janani Suraksha Yojana is applicable to poor women of low performing states for ?
1. First 2 pregnancies
2. First 3 pregnancies
3. First 2 live births
4. All births

Correct answer: 4. All births

Explanation: Ans. is 'd' i.e., All births Janani Suraksha Yojana The National Maternity Benefit scheme has been modified into a new scheme called Janani Suraksha Yojana. It was launched on 12th April, 2005. The objectives of scheme are reducing maternal and infant mortality through encouraging delivery at health, institutions, and focusing at institutional care among women in below poverty line. Salient features of JSY: It is 100% centrally sponsored It combines 'benefit of cash assistance with institutional care' Eligibility of cash assistance. In low performing states (LPS) : All women undergoing institutional deliveries In high performing states (HPS) : Below poverty line women aged 19 years and above; SC/ST pregnant women Limitation of cash assistance In low performing states (LPS) : All births in institutions In high performing states (HPS) : upto 2 live births.